Which of the following is not a minor diagnostic criteria for multiple myeloma?
1. Lytic bone lesions
2. Plasmacytosis greater than 20%
3. Plasmacytoma on biopsy
4. Monoclonal globulin spike on serum electrophoresis of > 2.5 g/dl for IgG, >1.5 g/dl for IgA

Correct answer: 3. Plasmacytoma on biopsy

Explanation: Ans. (c) Plasmacytoma on biopsy(Ref: Wintrobes 12th/pg2377)Durie and Salmon criteria for diagnosis of Multiple myeloma.A minimum of 1 major and 1 minor criterion needed, although (1) + (a) is not sufficient, or 3 minor criteria that must include (a) and (b).However, International myeloma working group 2011 has revised the criteria as mentioned in pretexts.